Game keepers thumb is:
1. Thumb metacarpophalangeal joint ulnar collateral ligament rupture
2. Thumb metacarpophalangeal joint radial collateral ligament rupture
3. Thumb interphalangeal joint ulnar collateral ligament rupture
4. Thumb interphalangeal joint radial collateral ligament rupture

Correct answer: 1. Thumb metacarpophalangeal joint ulnar collateral ligament rupture

Explanation: GAME KEEPER'S/SKIER'S THUMB Injury to the thumb metacarpophalangeal joint ulnar collateral ligament- most common injury of 1st MCP joint. Pain, swelling and ecchymosis around the metacarpophalangeal joint. On clinical examination, a prominent lump can be palpated, which represents the ulnar collateral ligament being displaced by the adductor aponeurosis.